One month old baby is referred for failure to thrive. On examination there are features of congestive cardiac failure. Femoral pulses are feeble compared to brachial pulses. The likely diagnosis is
1. Coarctation of aorta
2. Patent ductus arteriosus
3. Congenital aortic stenosis
4. Congenital aorta-iliac disease

Correct answer: 1. Coarctation of aorta

Explanation: In coarctation of aorta there will be radiofemoral delay. Ghai essential of pediatrics, eighth edition, p.no:432